Inhalational halogenated anesthetics may cause malignant hyperthermia in(372- KDT 6th) (Lippincott's 3rd pharmacology)
1. Patients with poor renal function
2. Patients allergic to the anesthetics
3. Alcoholics
4. Genetic defect in calcium channel at sarcoplasmic reticulum of the skeletal muscle

Correct answer: 4. Genetic defect in calcium channel at sarcoplasmic reticulum of the skeletal muscle

Explanation: D. i.e. (Genetic defect in calcium channel at sarcoplasmic reticulum of the skeletal muscle) (372-KDT 6th)Malignant Hyperthermia - occurs in small population who have a genetic defect in the muscle (ryanodine receptor) calcium channel at the sarcoplasmic reticulum of the skeletal muscle.Which is triggered by halothane** to release massive Ca++ intracellularly causing persistent muscle contraction and increase heat production**. Succinylcholine** - accentuates the conditions.Treatment* Rapid external cooling* Bicarbonate infusion* 100% O2 inhalation* IV Dantrolene** 1. Thiopental** is a potent anesthetic but weak analgesic2. Nitrous oxide* - is potent analgesic but weak general anesthetic* Propofol is agent of choice for induction in susceptible individuals for malignant hyperthermia